Initiation of basic electrical Rhythm of intestine is by?
1. Interstitial cells of Cajal
2. Entero-chromaffin cells
3. Auerbach plexus
4. Meissner plexus

Correct answer: 1. Interstitial cells of Cajal

Explanation: Ans. A Interstitial cells of CajalRef: Ganong, 25th ed. pg. 496The basal electrical rhythm is initiated by interstitial cells of Cajal which are stellate mesenchymal parenchymal cells that send long multiple branched processes into the intestinal smooth muscle.